MC site of genital TB:
1. Lungs
2. Fallopian tubes
3. Uterus
4. Ovary

Correct answer: 2. Fallopian tubes

Explanation: Ans. B i.e. Fallopian tubes